Best time for detecting chorionicity twin pregnancy on USG Is:
1. 8-12 weeks
2. 10-14 weeks
3. 14-18 weeks
4. 16-24 weeks

Correct answer: 2. 10-14 weeks

Explanation: Chorionicity of the placenta is best diagnosed by ultrasound at 10-13 weeks of gestation. Reference:DC Dutta's textbook of obstetrics,8th edition,page no;237